In the right middle ear pathology, Weber's test will be
1. Centralized
2. Normal
3. Lateralized to right side
4. Lateralized to left side

Correct answer: 3. Lateralized to right side

Explanation: Weber test: In this test, a vibrating tuning fork is placed in the middle of the forehead or the vertex and the patient is asked in which ear the sound is heard. Normally, it is heard equally in both ears. It is lateralized to the worse ear in conductive deafness and to the better ear in sensorineural deafness. In weber test, sound travels directly to the cochlea bone. Lateralization of sound in weber test with a tuning fork of 512 Hz implies a conductive loss of 15-25 dB in ipsilateral ear or a sensorineural loss in the contralateral ear. Ref:- Dhingra; pg num:-22